True regarding pregnancy changes except :
1. Hyperplasia of parathyroid
2. Hyperplasia of thyroid
3. Increased pigmentation
4. Decreased BMR

Correct answer: 4. Decreased BMR

Explanation: There is rise in the basal metabolic rate, which begins at about the third month, reaches a value of +25% during the last trimester. The increase in BMR is probably due to increase in net oxygen consumption of mother and fetus. Reference : Dutta's text book of Obstetrics 7th edition page no 62